All of the following are essential aminoacids except:
1. Methionine
2. Lysine
3. Alanine
4. Leucine

Correct answer: 3. Alanine

Explanation: Threonine, Lysine, Phenylalanine, Methionine, Isolcucine & Leucine, Tryptophan, Valine > Histidine >> Arginine are nutritionally essential amino acids. Among these last two (histidine & arginine) are semi- essential, and arginine is more essential than histidine.